Gastric lavage is contraindicated in poisoning by -
1. Kerosene
2. Morphine
3. Barbiturates
4. Cyanide

Correct answer: 1. Kerosene

Explanation: Ans is 'a' ie., Kerosene o Gastric lavage is contraindicated in poisoning by pure petroleum distillate eg kerosene, turpentine,o Gastric lavage is indicated for: 1) camphorated hydrocarbons b) halogenated hydrocarbons eg organochlorides, methyl chloride, fluorocarbons 3) aromatic hydrocarbons eg benzene, toluene, xylene, aniline,o Contraindication for gastric lavage:Absolute: alkalis, mineral acids, vegetable acids, organic acids except carbolic acidRelative: kerosene or volatile poisons, convulsant poisons except strychinine, hypothermia, bleeding disorder.